Punched out appearance in skull seen in
1. Multiple myeloma
2. Thalassemia
3. Carcinoma lung
4. Hyperparathyroidism

Correct answer: 1. Multiple myeloma

Explanation: i.e. (Multiple myeloma): (679-Robbins 7th)MULTIPLE MYELOMA - presents as multifocal destructive bone tumours composed of plasma cells throughout the skeletal system* The bone lesions appears radiographically as punched out defects usually 1 -4 cm in diameter and grossly consists of gelatinous soft red tumour masses* Hyperparathyroidism - "pepper pot skull", The mandible a common site for Frown ' tumours* Moth - eaten appearance - syphilis* Rugor Jersy spine - Osteopetrosis* Beheadedscortish terrior sign - Spondylolisthesis